Which one of the following is not a symptom of atherosclerotic occlusive disease at the bifurcation of aorta (Lehriche syndrome)?
1. Claudication of buttock and thigh
2. Claudication of the calf
3. Sexual impotence
4. Gangrene localized to the feet

Correct answer: 4. Gangrene localized to the feet